Cysticercus cellulosae seen in
1. T saginata
2. T solium
3. D latum
4. S haematobium

Correct answer: 2. T solium

Explanation: Cysticercus cellulosae is the larval form of taenia solium.(infective stage) Humans are infected by consuming inadequately cooked pork containing cysticercus cellulosae When taenia leads to cysticercosis the life cycle is.... Definitive host and intermediate host: man Infective stage : eggs of taenia solium Mode of infection: Man acquires infection by ingesting eggs Ref : panikers textbook of Medical parasitology 8th edition page 126